All of the following are true about prostaglandin E2 except :
1. It is the principal prostaglandin synthesized in the stomach
2. Its biosynthesis is inhibited by aspirin
3. It stimulates gastric acid secretion
4. It causes dilatation of submucosa blood vessels

Correct answer: 3. It stimulates gastric acid secretion